The heights of contour of the distal surfaces of permanent mandibular central incisors are located in which coronal third?
1. Middle.
2. Cervical.
3. Occlusal.
4. Incisal.

Correct answer: 4. Incisal.

Explanation: Height of contour on distal surface of permanent mandibular central incisors is at the incisal third).